Andrew's 5th key of occlusion is
1. Curve of spee
2. Rotation absent
3. Tight contacts
4. Bolton's ration

Correct answer: 3. Tight contacts